All cause malabsorption syndrome except:
1. Giardiasis
2. Ascaris
3. S trongyloides
4. Capillaria phillipinesis

Correct answer: 2. Ascaris

Explanation: Ans. (b) Ascaris Ref. Journal of digestive disease and sciences 53(3) March 2008 672-679 Giardia lamblia (MC) * Giardia lamblia (MC) E. histolytica/dispar Cryptosporidium Ankylostoma duodenale E. histolytica/dispar H. nana A. duodenale Stronglyloids* Capillaria philipinesis**